General fertility rate is a better measure of fertility than the crude birth rate because the denominator includes
1. 15-45 years of age female
2. Midyear population
3. Total woman population
4. Married woman population

Correct answer: 1. 15-45 years of age female

Explanation: Ans. is 'a' i.e., 15-45 yrs of age female Birth rate- * Simplest indicator of fertility * No. of live births per 1000 estimated mid year population Birth rate = (No. of live birth during the year / estimated mid yr. Population) x 100General fertility rate- (No. of live births in an area during the year / mid year female population (15 to 45 yrs) in the same area) x 1000.General fertility rate is a better measure of fertility than the crude birth rate because the denominator is restricted to the no. of women in the child bearing age, rather than the whole population.